Treatment of choice for akathesia is?
1. Phenytoin
2. Propranolol
3. Dantrolene
4. Lithium

Correct answer: 2. Propranolol

Explanation: Ans. is 'b' i.e., Propranolol "The first line drug for akathisia is most commonly a f-blocker." -- Kaplan 8c SaddockDrugs used in Akathesia* b-blockers (propranolol, metoprolol) - DOC* Diazepam* Central Anticholinergic (e.g. Trihexyphenidyl)* Vitamin B6* Antihistaminic (Diphenhydramine, Promethazine)* Amantidine